All of the following are B cell markers except ?
1. CD 10
2. CD 19
3. CD 20
4. CD 34

Correct answer: 4. CD 34

Explanation: Ans. is 'd' i.e., CD34o CD34 is not a marker of B-cells; it is present on hematopoietic stem cells.